Gottlib has described aggressive periodontitis as diffused atrophy of alveolar bone and termed the condition as
1. Periodontosis
2. Cementopathia
3. Juvenile periodontitis
4. Alveolopathia

Correct answer: 2. Cementopathia